Most sensitive sonological indicator for aneuploidy is
1. Gestational sac volume
2. Crown-rump length
3. Nuchal transluscency
4. Serum P HCG level

Correct answer: 3. Nuchal transluscency

Explanation: Ans. is 'c' i.e. Nuchal translucency Rumack writes - "The most effective sonographic marker of trisomy 21 and other chromosomal defects is increased nuchal translucency (NT) thickness at 11 to 14 weeks gestation."